Which is a typical intercostal nerve?
1. 1st
2. 3rd
3. 7th
4. 9th

Correct answer: 2. 3rd

Explanation: Ans. is 'b' i.e., 3rd * Ventral rami of upper 11th thoracic spinal nerves are known as intercostal nerves and ventral ramus of T12 is known as subcostal nerve.* Upper six intercostal nerves supply thoracic wall whereas lower five intercostal nerves and subcostal nerve supply thoracic and anterior abdominal walls and hence known as thoracoabdominal nerves.* Upper two intercostal nerves also supply the upper limb. Thus only 3rd to 6th are called typical intercostal nerves.